Blumensaat line is used to radiologically diagnose an anatomical condition called patella alta, It is
1. Drawn through the superior pole of patella.
2. The line joining the ASIS with the, centre of patella
3. Drawn through the roof of the intercondylar notch of femur
4. The line joining the greater trochanter and the centre of the patella

Correct answer: 3. Drawn through the roof of the intercondylar notch of femur

Explanation: Blumensaat line is a line drawn through the roof of the intercondylar notch, the lower pole of the patella is supposed to touch this line if it is above this line then it is termed as patella alta and thus predisposed to lateral dislocation